Is the most common type of congenital cataract:
1. Lamellar cataract
2. Cataracta centralis pulverulenta
3. Coronary cataract
4. Coralliform cataract

Correct answer: 1. Lamellar cataract

Explanation: Ans. Lamellar cataract